Plasmap heresis is recommended in all of the following except -
1. Hyperviscosity syndrome
2. Macroglobulinaemia
3. Immune complex glomerulonephritis
4. Chronic active hepatitis

Correct answer: 4. Chronic active hepatitis